HLA Complex in human is located on chromosome?
1. Chromosome 5
2. Chromosome 6
3. Chromosome 7
4. Chromosome 8

Correct answer: 2. Chromosome 6

Explanation: Harshmohan textbook of pathology 7th edition. *HLA or MHC are located on short arm of chromosome 6.